Regarding transport of substances through the cell membrane, all are true except
1. Glucose is transported Via facilitated diffusion
2. Active transport is an energy driven proces
3. Facilitated diffusion requires energy
4. Facilitated diffusion requires carrier protein

Correct answer: 3. Facilitated diffusion requires energy

Explanation: Diffusion primarily depends on the concentration of molecules. Passage of ions or molecule from a region of higher concentration to lower concentration without the expenditure of energy is called diffusion. (REF: TEXTBOOK OF MEDICAL PHYSIOLOGY GEETHA N 2 EDITION, PAGE NO - 4)